Salmonellosis is most common in?
1. Sickle cell anemia
2. Thalassemia
3. Hemophilia
4. Cystic fibrosis

Correct answer: 1. Sickle cell anemia

Explanation: Ans. is 'a' i.e., Sickle cell anemia "Salmonella spp. and S. aureus are the major causes of long bone osteomyelitis complicating sickle cell anemia".